Definitive sign of pregnancy :
1. Uterine souffle
2. Ballottement
3. Fetal heart sound
4. Amenorrhea

Correct answer: 3. Fetal heart sound

Explanation: Fetal heart sound